Drug of choice of paroxysmal supraventricular tachycardia is -
1. Adenosine
2. Digitalis
3. Procainamide
4. Mexiletine

Correct answer: 1. Adenosine

Explanation: Ans. is 'a'i.e., Adenosine Drugs of PSVT-1st choice - Adenosine2nd choice - CCBs (verapamil, diltiazem) or b-blockers.